All of the following metabolic process occur in the mitochondria, EXCEPT:
1. Urea cycle
2. TCA cycle
3. Beta oxidation of fatty acids
4. Fatty acid synthesis

Correct answer: 4. Fatty acid synthesis

Explanation: Fatty acid and triacylglycerol synthesis occur in the cytoplasm, but its precursor acetyl CoA is formed in the mitochondrial matrix. Beta oxidation of fatty acid occur in the matrix of the mitochondrion. Beta oxidation begins as soon as fatty acyl CoA appear in the matrix using repeated cycle of 4 steps. With each step fatty acyl CoA is broken down into new fatty acyl CoA shortened by two carbon atoms plus an acetyl CoA. Gluconeogenesis occur in the cytosol but depends on the mitochondrial compartment for its starting substrate oxaloacetate. Functional compartmentalisation of metabolism: Mitochondria: Beta oxidation of fatty acids Amino acid oxidation TCA cycle Urea cycle Peroxisomes: Oxidation of long chain fatty acids and D amino acids Synthesis of some lipids Cytoplasm: Glycolysis Glycogen generation and storage Fatty acid synthesis Urea cycle Gluconeogenesis Ref: Biochemistry By John W. Pelley, page 81. Biochemistry Primer for Exercise Science, 4E By Peter Tiidus, page 220, Mitochondria in Health and Disease edited by Carolyn D. Berdanier page 27.